Le Fort I fracture is characterized by
1. Bleeding from ear
2. Bleeding into antrum
3. CSF rhinorrhoea
4. All of the above

Correct answer: 2. Bleeding into antrum